During tonsillectomy, which of the following structure is NOT injured
1. Glossopharyngeal nerve
2. Paratonsillar vein
3. Tonsillar branch of facial artery
4. External carotid artery

Correct answer: 4. External carotid artery

Explanation: STRUCTURES DAMAGED DURING TONSILLECTOMY: - Tonsil is supplied by Tonsillar branch of facial artery - Para-tonsillar vein is also present which may bleed heavily in procedure of tonsillectomy - Glossopharyngeal nerve supplying that area of palate is at the floor of tonsil bed - can be compromised - Superior pharyngeal constrictor is related to fascia